Which of the following elements is known to influence the body&;a ability to handle oxidative stress?
1. Calcium
2. Iron
3. Potassium
4. Selenium

Correct answer: 4. Selenium

Explanation: Selenium acts as a nonspecific intracellular anti-oxidant. This action of Se is complementary to vitamin E. Availability of vitamin E reduces the selenium requirement. In Se deficiency, tissue vitamin E content is depleted.